Which is not a sexual spore
1. Zygospores
2. Ascospores
3. Blastospore
4. Basidiospore

Correct answer: 3. Blastospore

Explanation: Blastospore is a vegetative asexual spore.